Gettler test is for
1. Drowning
2. Hanging
3. Arsenic poisioning
4. Strangulation

Correct answer: 1. Drowning

Explanation: A i.e. Drowning